A patient is on follow - up with you after enucleation of a painful blind eye. After enucleation of the eyeball, a proper sized artificial prosthetic eye is advised after a postoperative period of -
1. About 10 days
2. About 20 days
3. 6-8 weeks
4. 12-24 weeks

Correct answer: 3. 6-8 weeks

Explanation: Some guides have given 20 days as the answer, which is wrong.
There are two types of prosthesis, which are used after enucleation:-


Temporary prosthesis: - Within 10 days of enucleation surgery.
Permanent prosthesis: - 6 to 8 weeks after enucleation.

"Patients can usually have a temporary prosthesis within 10 days of enucleation surgery. Most patients are fitted with a permanent prosthesis 4 - 6 weeks later total 6-8 weeks after enucleation".    — www.eyecancer.com 
"In about six to eight weeks after an enucleation, the patient is fitted with a prosthetic or artificial eye by an ocularist". — www.mopss.com 
"A proper sized prosthetic eye can be inserted for good cosmetic appearance after 6 weeks when healing of the enucleated socket is complete". — Khurana

Most of the textbooks have mentioned either 4-6 weeks or 6-8 weeks after enucleation when the prosthetic eye is inserted.
So, according to me, the answer is 6-8 weeks.